Endoscopy is useful for evaluation of these forms of gastrointestinal obstruction except
1. Oesophagal
2. Gastroduodenal
3. Illeal
4. Colonic

Correct answer: 3. Illeal

Explanation: Endoscopy is useful for evaluation and treatment of some forms of gastrointestinal obstruction. An important exception is a small-bowel obstruction due to surgical adhesions, which is generally not diagnosed or treated endoscopically. Oesophagal, gastroduodenal, and colonic obstruction or pseudo-obstruction can all be diagnosed and often managed endoscopically.Harrison 19e pg: 1891